Aggressive periodontitis is characterized by the following
major features EXCEPT
1. Non contributory medical history
2. Rapid attachment loss
3. Pathologic migration
4. Familial aggregation of cases

Correct answer: 3. Pathologic migration